Functional assessment of optic nerve is by:
1. Angiography
2. Fundoscopy
3. Perimetry
4. CT Scan

Correct answer: 3. Perimetry

Explanation: Ans. Perimetry